Which one of the following hormonal contraceptive CANNOT be used during lactation :
1. Mini - pill
2. Norplant
3. DMPA
4. Combined oral contraceptive pills

Correct answer: 4. Combined oral contraceptive pills

Explanation: Combined oral contraceptive pills